Bulging fissures in lungs is seen in :
1. Klebsiella pneumonia
2. Staph pneumonia
3. Pulmonary oedema
4. Pneumoconiosis

Correct answer: 1. Klebsiella pneumonia

Explanation: A i.e. Klebsiella pneumonia